Patient with history of fall on symmetrical surface presents with enophthalmos diplopia on upward gaze and loss of sensitivity over cheek. True statement about this is :
1. Maxillary fracture
2. It is a blow out fracture
3. Zygomatic bone is most likely injured
4. Frontal bone fracture

Correct answer: 2. It is a blow out fracture

Explanation: Blow out fracture - MC of orbit - Inferior wall M/C involved - Entrapment of inferior rectus in inferior wall - not able to look up Features (1) Enophthalmos (2) Diplopia(3) Infra orbital nerve anesthesia - Hanging drop or tear drop sign on imaging